Which substances are best suited to measure interstitial fluid volume?
1. Inulin and heavy water
2. Inulin and 22Na
3. Heavy water and 125I-albumin
4. Inulin and 125I-albumin

Correct answer: 4. Inulin and 125I-albumin

Explanation: Interstitial fluid volume= ECF volume - Plasma volume Inulin best indicator of ECF volume and 125I-albumin is most commonly used for plasma volume estimation